Kwashiorkor is characterized by all EXCEPT
1. Alertness
2. Edema
3. Flag sign
4. Hepatomegaly

Correct answer: 1. Alertness

Explanation: A. i.e. (Alertness) (67- Ghai 7th) (104 - 05 Ghai 6th)Differentiating features of - Marasmus and KwashiorkorMARASMUSKWASHIORKOR* Emaciation, stunting* No edema*** Wrinkled skin, loose folds of skin are prominent over glutei and inner side of thigh* Skin appears dry, scaly and inelastic and prone to infections* Hair is hypopigmented* Abdomen is distended due to wasting and hypotonia of abdominal wall muscles* Bony points prominent* Alert**, often irritable* Voracious appetiteMarkedly retarded growth,Edema**, psychomotor change* Face appears moon- shaped and puffy* Lethargic, listless and apathetic* Hepatomegaly* Skin is dry, inelastic, mosaic in appearance* Flag sign** - alternate bands of the hypopigmented and normally pigmented hair* Petechiae or ecchymosis in severeases* GFR and plasma flow are diminished* Appetite is impaired* The estimation of 3 methyl histidine in urine is study skeletal muscle mass*** Main sign of kwashiorkor is pitting edema**